Dose of zinc used in acrodermatitis enteropathica is?
1. 0.5mg/kg
2. 2mg/kg
3. 5mg/kg
4. 7mg/kg

Correct answer: 2. 2mg/kg

Explanation: Dose of zinc for acrodermatitis enteropathica is 2-3 mg/kg body weight